Which of the following is most appropriate about grade 4 burns-
1. Involves all layers of the skin
2. Involves the whole skin along with muscle tissue
3. Involves the epidermis partially
4. Involves the dermis partially

Correct answer: 2. Involves the whole skin along with muscle tissue

Explanation: Ans. is 'b' i.e., Involves the whole skin along with muscle tissue Classification of burns o Burn depth is an important topic and repeatedly asked. # Bums are classified according to increasing depth in 2 ways 1. Into degrees i.e. 1st degree to IVth degree bum 2. Into a less precise classification i.e. Shallow & Deep bums. # Relationship among these two classifications 1st degree } - - Superficial Shallow bums IInd degree - Deep } IIIrd degree Deep bums IVth degree Depth of Burn Colour & Appearance Skin Texture Capillary Refill Pinprick Sensation Healing First degree Superficial epidermis Red Normal Yes Yes 5-10 days. No scar Shallow Burn Second degree Superficial partial thickness Red may be blistered Edematous Dry to very small blisters Yes Yes 7-14 days. No. or minimal scar Deep partial Thickness Pink to White bullae or moist Thick Possibly Possibly 25-60 days, dense scar Deep Third degree Full thickness White black or brown Leathery Dry & Inelastic No No No spontaneous healing Burn Fourth degree Involves underlying subcutaneous tissue tendon or bone Variable Variable No No No spontaneous healing